The average root surface area (mm2) of the maxillary 2nd
premolar is
1. 234
2. 220
3. 273
4. 204

Correct answer: 2. 220